Fundoscopic features of papilledema include all the following except -
1. Ill- defined disc margin
2. Deep physiological cup
3. Absent venous pulsation
4. Bending of blood vessels

Correct answer: 2. Deep physiological cup

Explanation: Physiological cup is filled and obliterated (not becomes deep).

Ophthalmoscopic signs of papilloedema 

Blurring of disc margin (first sign)
Venous :- Engorgment, congestion, loss of pulsation
Hyperemia of the disc with capillary dilatation.
Filling of physiological cup with gradual obliteration of physiological cup.
Gradual elvetion of disc (mushroom or dome shaped) with sharp bending of vessels over its margins.
Cotton- wool spots (soft exudates) and both flame shaped (superficial) and punctate (deep) hemorrhages
Macular fan or macular star due to hard exudates.
Late findings in long standing (vintage) papilloedema: - Markedly elevated disc with champagne cork appearance, post neuritic optic atrophy, corpora amylacea deposits on disc margin, generalized retinal pigmentation.